OCP should not be used with
1. Rifampicin
2. 1NH
3. Streptomycin
4. Pyrazinamide

Correct answer: 1. Rifampicin

Explanation: Rifatnpicin See Nov 09 Obs & Gynae